LATS is a ?
1. IgM
2. IgG
3. Glycoprotein
4. IgA

Correct answer: 2. IgG

Explanation: Reference :Robbins basic pathology 9th edition pg no 726:Thyroid stimulating immunoglobulin(LATS): Graves disease is characterized by a breakdown in self-tolerance to thyroid autoantigens, of which the most important is the TSH receptor. The result is the production of multiple autoantibodies, including: * Thyroid-stimulating immunoglobulin: An IgG anti- body that binds to the TSH receptor and mimics the action of TSH, stimulating adenyl cyclase, with resultant increased release of thyroid hormones. Almost all persons with Graves disease have detectable amounts of this auto- antibody, which is relatively speci c for Graves disease.